Postoperative apnea in neonates is due to __________
1. Overdose of relaxant
2. Overdose of inhalation agent
3. Concurrent aminoglycoside antibiotics
4. All the above

Correct answer: 4. All the above

Explanation: All the above condition expanded.. That is Overdose of relaxants Overdose of inhalation agents Concurrent aminoglycosside antibiotics May cause postoperative apnea. Reference: GHAI Essential pediatrics, 8th edition